Incretin like function is seen in -
1. Exenatide
2. Miglital
3. Poiglitazone
4. Repaglinide

Correct answer: 1. Exenatide

Explanation: Ans. is 'a' i.e., Exenatide o Exenatide is a synthetic glucagon-like peptide - 1 (GLP-l) analogue,o GLP-l is an important incretin that is released from gut in response to oral glucose.o But GLP-I can not be used clinically as it is degraded rapidly by enzyme dipeptidly peptidase - 4 (DPP-4).o Exenatide is resistant to DPP-4.o It acts similar to GLP-l -Enhancement of postprandial insulin release, suppression of glucagon release and appetite as well as slowing of gastric emptying,o It is given by subcutaneous route & used in type 2 DMo Nausea is most important side effect.